Investigation of choice for pulmonary embolism
1. CT scan
2. Contrast CT
3. Ventillation - Perfusion Scan
4. MRI

Correct answer: 2. Contrast CT

Explanation: B i.e. Contrast CT